All the following are true regarding pseudocyesis, EXCEPT:
1. The patients usually have an intense desire to have children
2. Change in the breast may be present
3. There may be considerable increase in the size of the abdomen
4. The labour pain invariably continue to persist even if she is told that she is not pregnant

Correct answer: 4. The labour pain invariably continue to persist even if she is told that she is not pregnant

Explanation: Pseudocyesis or phantom pregnancy is usually seen in patients nearing menopause or in young women who intensely desire children. Most of them suffer from some forms of psychic or hormonal disorder. The abdomen may distend due to deposition of fat. The pregnancy may progress to full term and the labour pain may stop abruptly when informed that she is not pregnant. Ref: Textbook of Forensic Medicine and Toxicology by Narayan Reddy, Edition 21, Page - 333